Cranial nerve involved in sarcoidosis is
1. 2nd
2. 3rd
3. 5th
4. 7th

Correct answer: 4. 7th